All of the following drugs are oxytocics except:
1. Oxytocin
2. Ergometrine
3. Prostaglandin
4. Orciprenaline

Correct answer: 4. Orciprenaline